ANCA is positive in -
1. Wegener's granulomatosis
2. Churg strauss syndrome
3. Microscopic PAN
4. All of the above

Correct answer: 4. All of the above